Characteristic postmortem finding of carbolic acid poisoning is?
1. Greenish stomach
2. Yellow charred stomach
3. Brown Leathery stomach
4. Black charred stomach

Correct answer: 3. Brown Leathery stomach

Explanation: Note: On contact, carbolic acid hardens the tissues. Stomach mucosa hardens and becomes leathery like. That's why, gastric lavage can be donein carbolic acid poisoning.